Following are the ocular association of retinitis pigmentosa except:
1. Myopia
2. Primary angle closure glaucoma
3. Microphthalmos
4. Conical cornea

Correct answer: 2. Primary angle closure glaucoma

Explanation: Ans. Primary angle closure glaucoma